Superior orbital fissure syndrome - following nerves are affected ?
1. C.N. 1, 2, 4, 6
2. C.N. 2, 3, 4, 6
3. C.N. 3, 4, 5, 6
4. C.N. 1, 2, 3, 4, 5

Correct answer: 3. C.N. 3, 4, 5, 6

Explanation: Ans. is 'c' i.e., C.N. 3, 4, 5, 6 The superior orbital fissure is a cleft between the lesser and greater wing of sphenoid.The structures passed through superior orbital fissure are 3rd, 4th, 6th nerve, ophthalmic division of 5th nerve, superior & inferior division of ophthalmic vein and sympathetic fibres.